Most common deviation used in social medicine
1. Mean
2. Range
3. Variance
4. Standard deviation

Correct answer: 4. Standard deviation

Explanation: Ref:Park's Textbook of Preventive and Social Medicine 25th Ed